All are true regarding hypertrophic cardiomyopathy, Except:
1. Digoxin is helpful
2. Irregular thickness of septa
3. Dynamic obstruction
4. Double apical impulse

Correct answer: 1. Digoxin is helpful

Explanation: Ans. is 'a' Digoxin is helpful (Ref. to May 2001, Harrison 17/e, p 1484 & 16/e, p 1411).